Recurrent gross hematuria is seen in -
1. Alport's syndrome
2. IgA nephropathy
3. Focal seg.GN
4. DM

Correct answer: 2. IgA nephropathy

Explanation: The two most common presentations of IgA nephropathy are recurrent episodes of macroscopic hematuria during or immediately following an upper respiratory infection often accompanied by proteinuria or persistent asymptomatic microscopic hematuria. Ref:Harrison 20th edition pg no 2140